A lady primigravida developed fluctuant painful mass of breast and fever after 14 days of delivery. Preferred treatment option is:-
1. Stop lactation
2. Analgesics and continue breast feeding
3. Antipyretic
4. Incision and drainage

Correct answer: 4. Incision and drainage

Explanation: Breast Abscess- MC in lactating females- MC in Primi females - because of faulty technique of breast feeding, injury to nipple by which the staph aureus from the overlying skin penetrates to produce breast abscess.- MC organism responsible is Staph Aureus Clinical features- pain & tenderness over the affected breast- Fever with chills and rigor- Breast is engorged Treatment- Incision and drainage + Antibiotics- 1st line agent - Cloxacillin / Dicloxacillin for 10 -14 days